Diet given to pregnant lady under ICDS is
1. 3000Kcal with 60grams of protein
2. 800Kcal with 25grams of protein
3. 500Kcal with 12grams of protein
4. 600Kcal with 18grams of protein

Correct answer: 4. 600Kcal with 18grams of protein

Explanation: In ICDS supplementary nutrition is given to children below 6 years, nursing and expectant mothers from low-income group.Each child 6-72 months of age get 500 Cal and 12-15Gm of proteinSeverely malnourished child 6-72 months of age get 800 Cal and 20-25Gm of proteinEach pregnant and nursing women to get 600 Cal and 18-20Gm of proteinPark 23e pg: 591